Actions of Bradykinin include all of the following, EXCEPT:
1. Vasodilatation
2. Bronchodilatation
3. Increased vascular permeability
4. Pain

Correct answer: 2. Bronchodilatation

Explanation: Kinins cause marked bronchoconstriction and not bronchodilatation. Their effect on other smooth muscles is not prominent. Ref: Essentials of Medical Pharmacology By KD Tripathi, 5th Edition, Pages 455 - 456; Textbook of Medical Physiology By Guyton and Hall, 10th Edition, Pages 181, 290, 399, 552, 725, 742.